Pralidoxime acts in organophosphorus poisoning by-
1. Regenerating Cholinesterase
2. Inhibiting cholinesterase
3. Cholinergic action
4. None of the above

Correct answer: 1. Regenerating Cholinesterase